The most commonly used myocutaneous pedicle graft for pelvis surgeries contains muscle segments from -
1. Rectus abdominis muscle
2. External oblique muscle
3. Internal oblique muscle
4. Transversus abdominis muscle

Correct answer: 1. Rectus abdominis muscle

Explanation: Ans. is 'a' i.e., Rectus abdominis muscle * Grafts used for reconstructive operations in the pelvis are skin grafts, which are full or partial thickness, or myocutaneous grafts which are composed of full thickness of the skin, its associated subcutaneous tissue and a portion of closely associated muscle.* The most frequently used mvocutneous pedicle grafts contain, muscle segments from the rectus abdominis muscle of the anterior abdominal wall gracialis muscle of the inner thigh, bulbocavernosus muscle of the vulva, the tensor fascia lata muscle of the lateral thigh, and gluteus maximus muscle.